Glucose is transported in pancreas through whichreceptor ?
1. GLUT 1
2. GLUT 2
3. GLUT 3
4. GLUT 4

Correct answer: 2. GLUT 2

Explanation: Ans. is 'b' i.e., GLUT 2 Glucose enters the B cells of pancreatic islets GLUT2 transporter and this stimulate the release of insulin.